Not an indicator for blood transfusion:
1. Severe anemia at 36 weeks
2. Moderate anemia at 24-30 weeks
3. Blood loss anemia
4. Refractory anemia

Correct answer: 2. Moderate anemia at 24-30 weeks

Explanation: Ans. is b, i.e. Moderate anemia at 24-30 weeksRef. Dutta Obs, 7/e, p 267Indications of Blood transfusion in anemia during pregnancy:To correct anemia due to blood loss and to combat PPHSevere anemia is seen beyond 36 weeks of pregnancyRefractory anemia - i.e. anemia not responding to oral or parenteral ironAssociated infection.Important points to remember:In case of severe anemia with cardiac failure, packed cell transfusion is preferred to avoid overload and pulmonary edema.If required blood transfusion should be repeated only after 24 hours.Improvement in Hb after 1 unit of blood transfusion is 1g/dL or 3% in hematocrit